Not associated with arrhenblastoma
1. CD56
2. Call Exner bodies
3. Sex cord stromal tumor
4. Musculanising tumor

Correct answer: 2. Call Exner bodies

Explanation: Ans. is 'b' i.e., Call Exner bodies Call-Exner bodies are seen in Granulosa-theca cell tumors (granulosa cell tumors).An arrhenoblastoma is a rare musculanizing ovarian tumor, which primarily secretes the male sex hormone, testosterone, and rarely the female sex hormone, estrogen. It is a member of the sex cord-stromal tumor group. Arrhenoblastomas are generally benign.Blood level of hormone (including testosterone, DHEA, CD56, and progesterone levels) are high.